NOT an abductor of hip joint
1. Gluteus medius
2. Gluteus minimus
3. Gluteus maximus
4. Tensor fascia lata

Correct answer: 3. Gluteus maximus

Explanation: Gluteus maximus chiefly performs Extension and lateral rotation
Gluteus medius, Gluteus minimus and Tensor fascia lata -Abduction and medial rotation